Which amongst the following is not a branch from the root of brachial plexus?
1. Branches to longus colli and scaleni muscles
2. Long Thoracic Nerve
3. Dorsal Scapular Nerve
4. Nerve to subclavius

Correct answer: 4. Nerve to subclavius

Explanation: BRANCHES FROM ROOTS ARE: Nerve to serratus anterior {long thoracic nerve}{C5-C7}. It only supplies serratus anterior muscle. Nerve to rhomboids {dorsal scapular nerve}-(C5). It supplies rhomboid major and rhomboid minor muscles. Branches to longus colli and scaleni muscles {C5-C8} and branch to phrenic nerve{C4}. Branches of trunks: Suprascapular(C5,C6) Nerve to subclavian(C5, C6) REF: BD Chaurasia edition 7th page no:58.